The only indication of giving corticosteroids in pustular psoriasis is
1. Psoriatic erythroderma with pregnancy
2. Psoriasis in a pt. With alchoholic cirrhosis
3. Moderate arthritis
4. Extensive lesions

Correct answer: 1. Psoriatic erythroderma with pregnancy

Explanation: A i.e. Psoriatic erythroderma with pregnancy